Which of the following is most abundant form of collagen present in dermis?
1. Type I
2. Type II
3. Type III
4. Type IV

Correct answer: 1. Type I

Explanation: Type I collagen is the predominant type of collagen present in the dermis accounting for approximately 80% of the collagen in dermis. It is highly vascular, largely acellular and primarily consists of the extracellular matrix of connective tissue. Type II collagen- CailageType III collagen- reticular fibers, Granulation tissue (early), Blood vesselType IV collagen- Basement memberane